Heschl's gyrus in the brain contains
1. Parietal association cortex
2. Wernicke's area
3. Primary auditory cortex
4. Medial frontal cortex

Correct answer: 3. Primary auditory cortex

Explanation: Answer: c) Primary auditory cortex.* Area 41 is the primary auditory cortex; area 42 is the associative (secondary) auditory cortex.* Together, these areas are referred to as Heschl's gyrus.* They receive input (via the auditory radiations) from the medial geniculate.* The surrounding temporal cortex (area 22) is the auditory association cortex. In the posterior part of area 22 (in the posterior third of the superior temporal gyrus) is Wernicke's area, which plays an important role in the comprehension of language.* The remaining temporal areas are multimodal association areas.BRODMANN AREA* Primary motor. A- precentral gyrus -Area 4* Premotor area- Area 6* Primary visual area-Area 17* Visual association area- Area 18,19* Primary auditory area - Area 41* Auditory association area- Area 22 (Wernicke's Area), Area 42,* Frontal eye field- Area 8 & 6* Broca's area- Area 44* Primary sensory area- -Area 3,1,2* Somato sensory association area (posterior parietal cortex)- area 5,7